Pseudopapilitis is seen in
1. Myopia
2. Hypermetropia
3. Squint
4. Presbyopia

Correct answer: 2. Hypermetropia

Explanation: The clinical picture in a patient with hypermetropia is as follows: Symptoms In patients with hypermetropia, the symptoms vary depending upon the age of the patient and the degree of refractive error. These can be grouped as under: 1. Asymptomatic 2. Asthenopic symptoms: These include tiredness of eyes, frontal or a frontotemporal headache, watering and mild photophobia. These asthenopic symptoms are especially associated with near work and increase towards evening. 3. Defective vision with asthenopic symptoms: The patients complain of defective vision which is more for near than distance and is associated with asthenopic symptoms due to sustained accommodative efforts. 4. Defective vision only: When the amount of hypermetropia is very high, the patients usually do not accommodate (especially adults) and there occurs marked defective vision for near and distance. Signs 1. Size of the eyeball may appear small as a whole. 2. The cornea may be slightly smaller than the normal. 3. The anterior chamber is comparatively shallow. 4. Fundus examination reveals a small optic disc which may look more vascular with ill-defined margins and even may simulate papillitis (though there is no swelling of the disc, and so it is called pseudopapillitis). The retina as a whole may shine due to the greater brilliance of light reflections (shot silk appearance). 5. A-scan ultrasonography (biometry) may reveal a short anteroposterior length of the eyeball. Disease Pseudopapilledema is defined as anomalous elevation of one or both optic discs without edema of the retinal nerve fiber layer Papilledema, on the other hand, is a swelling of the optic disc due to increased intracranial pressure. It is important to distinguish pseudopapilledema from true papilledema, which can be the first sign of disease process with the potential for vision loss, neurological impairment, or death. Patients thought to have papilledema are often subjected to lumbar puncture, MRI, and extensive laboratory studies to find the underlying cause. In this article, we will cover multiple causes of pseudopapilledema and how to differentiate them from true papilledema. Reference : Khurana comprehensive ophthalmology; 4th edition ; Page: 29, 30